What is the GFR (mL/min per 1.73m2) of a patient who is in G4 category of chronic kidney disease
1. 60-89
2. 30 - 59
3. 15 - 29
4. < 15

Correct answer: 3. 15 - 29

Explanation: Reference: Harrison's Principles of Internal Medicine; 20th edition; Chapter 335 Chronic Kidney Disease , pg 2112